Goniometer is used for
1. Amount o vaginal secretions
2. To measure width of genital mhiatus
3. Gonococcal colony count
4. Urethrovesical Angle

Correct answer: 4. Urethrovesical Angle

Explanation: Goniometer

It is used to measure baseline urethral angle and maximum strain angle of urethra with a cotton tip swab in place
The bladder forms an angle of 100 degree with posterior urethral wall which is also responsible for maintaining urinary continance